Which of the following reflexes is not present at birth-
1. Asymmetric Tonic Neck Reflex
2. Moro's Reflex
3. Symmetric tonic neck reflex
4. Crossed extensor reflex

Correct answer: 3. Symmetric tonic neck reflex

Explanation: Ans. is 'c' i.e., Symmetric Tonic neck reflexes Neonatal reflexes o A number of primitive neonatal reflexes can be elicited in healthy term neonate. o These disappear as the child grows ---> These reflexes are inhibited by frontal lobes as child grows. o Absence of reflex responses indicates dysfunction of central or peripheral motor function. o Abnormal persistence of neonatal reflexes is pathognomonic of central motor lesions. Reflexes are A. Reflexes present at birth Rooting, sucking & swallowing reflexes 4. Crossed extensor appears at 4-6 months appears at 8-9 months --> appears at 10 months" align="left" height="84" width="385">Moro reflex 5. Assymmetric tonic neck reflex Palmar grasp (grasp reflex) B. Reflexes appear after birth Symmetric tonic neck Parachute reflex Landau reflex